Among the following the Best indicator of health in a community is:
1. Maternal mortality rate
2. Infant mortality rate
3. Life expectancy
4. Neonatal mortality rate

Correct answer: 2. Infant mortality rate

Explanation: IMR is most important indicator of Health status of community Level of living and Effectiveness of MCH services in general The infant mortality rate is 'The best predictors of State failure' IMR = Infant deaths/live births x 1000